Best surgical approach in accessing retrosternal goiter is:
1. Cervical
2. Sternal
3. Intercostal
4. VATS

Correct answer: 1. Cervical

Explanation: Ans. (a) CervicalRef: Bailey and Love 27th Edition, Page 811Mediastinal goiter can be divided into* Primary - Only <1% of mediastinal goiters, arising from ectopic thyroid tissue in mediastinum with blood supply from mediastinal vessels.* Secondary - Majority of mediastinal goiters due to extension of thyroid from neck with blood supply from thyroid arteries.Treatment:* Mediastinal goiter can be removed by Neck incision most of the times except in few cases like suspected thyroid cancers, Primary mediastinal goiters and previous neck surgeries.